All are used to shrink fibroids EXCEPT:
1. Estrogen
2. Danazol
3. Mifepristone
4. GnRH analogue

Correct answer: 1. Estrogen

Explanation: (Estrogen) (345-46-Shaw's 13th) (323-S14th)* Estrogen are used to control the bleeding not the shrinkage tumours:Medical treatment of Fibroids* Iron therapy for anaemia* Drugs used to control menorrhagia* RU 486 (Mifepristone) Dannazol, Gn Rh analogues (depot leuprolide or nafarelin) used to reduce the size of the tumour upto 50 - 80%